A 3 month baby can do:
1. Social smile
2. Can sit without support
3. Transfer objects from right to left
4. Can change position from prone to supine

Correct answer: 1. Social smile

Explanation: Social smile appears at 3 months